All of the following are causes of microvesicular fatty liver except -
1. Reye's syndrome
2. Obesity
3. Acute fatty liver of pregnancy
4. Valproic acid

Correct answer: 2. Obesity